Bag and mask ventilation in newborn resuscitation is contraindicated in -
1. Diapharagmatic herina
2. Pulmonary hypoplasia
3. Tracheo - oesophageal fistuala
4. Laryngomalacia

Correct answer: 1. Diapharagmatic herina

Explanation: Ans. is 'a' i.e., Diaphragmatic hernia